Pancuronium differs from tubocurarine in that:
1. It is a depolarizing blocker
2. Its action is not reversed by neostigmine
3. It can cause rise in BP on rapid I.V. injection
4. It causes marked histamine release

Correct answer: 3. It can cause rise in BP on rapid I.V. injection

Explanation: * Pancuronium possesses vagolytic activity and can cause hypertension and tachycardia on rapid i.v. injection. * Pancuronium is a competitive NM blocker (Non-depolarizing NM blocker). Its actions can be reversed by anticholinesterases like neostigmine. * Unlike d-TC, histamine release is not seen with pancuronium.